Most common site for vertebral cancer is ?
1. Cervical
2. Lumbosacral
3. Thoracic
4. Cervicodorsal

Correct answer: 3. Thoracic

Explanation: Ans. is 'c' i.e., Thoracic All the vertebral cancer pathologies tend to involve mainly the thoracic and the lumbar areas commonly (thoracic >>> lumbar) and hence the most common site for vertebral cancers in thoracolumbar.